Approximate magnitude of completed family size is denoted by
1. General fertility rate
2. Total marital fertility rate
3. Total fertility rate
4. General marital fertility rate

Correct answer: 3. Total fertility rate